2 weeks old baby having scrotal pigmentation along with hyponatremia, gypoglycemia and hyperkalemia enzyme deficient-
1. 11 beta hydroxylase
2. 21 a- hydroxylase
3. 3- Beta hydroxylase dehydrogenase
4. 17- hydroxylase deficiency

Correct answer: 2. 21 a- hydroxylase

Explanation: Ans. is 'b' i.e., 21 a- hydroxylase Congenital adrenal hyperplasia (CAH)o Autosomal recessive disorder,o MC. is a-hvdroxylase deficiency.In 21a-hyroxylese deficiencyo There is deficiency of mineralocorticoids & glucocorticoid,o This leads to hypoglycemia, hyponatremia.